Length of the nasolacrimal duct is about:
1. 8-12 mm
2. 22-34 mm
3. 12-18 mm
4. 18-21 mm

Correct answer: 3. 12-18 mm

Explanation: Ans. 12-18 mm